A PATIENT ON LITHIUM THERAPY DEVELOPED HTN,HE WAS STARTED ON THIAZIDES FOR HYPERTENSION .AFTER FEW DAYS HE DEVELOPED COARSE TREMORS AND OTHER SYMPTOMS SUGGESTIVE OF LITHIUM TOXICITY .EXPLAIN THE LIKELY MECHANISM ::
1. THIAZIDE INHIBIT METABOLISM OF LITHIUM
2. THIAZIDE AXT AS AN ADD ON DRUG TO LITHIUM
3. THIAZIDE INCREASE THE TUBULAR REABSORPTION OF Li
4. THIAZIDE CAUSE LOSS OF WATER THERBY INCREASES Li LEVELS

Correct answer: 3. THIAZIDE INCREASE THE TUBULAR REABSORPTION OF Li

Explanation: DRUG INTERACTION OF LITHIUM : THIAZIDE DIURETICS INCREASE THE LITHIUM TOXICITY LOOP DIURETICS AND K+ SPARING DIURETICS -- NORMAL OR INC. LITHIUM OSMOTIC DIURETICS AND CARBONIC ANHYDRASE INHIBITORS WILL DECREASE THE LITHIUM LEVELS. REF : KD TRIPATHI 8TH ED